Old men with BP 210/120mmHg are classified as severe hypertension
1. Categorical
2. Numerical
3. Quantiitave
4. Continuous

Correct answer: 1. Categorical

Explanation: Ref:Park's Textbook of Preventive and Social Medicine 25th Ed